Mechanical properties of Cp Titanium are similar to alloys
1. type III and type IV gold
2. type V and type VI gold
3. type VII and type VIII gold
4. none of the above

Correct answer: 1. type III and type IV gold